One of the following is a treponemal test for diagnosis of syphilis
1. FTAB
2. Widal test
3. Wasserman test
4. Kahn test

Correct answer: 1. FTAB